The pathological change in malignant hypertension is -
1. Hyperplastic arteriosclerosis
2. Cystic medial necrosis
3. Benign nephrosclerosis
4. Hyaline arteriosclerosis

Correct answer: 1. Hyperplastic arteriosclerosis

Explanation: Ans. is 'a' i.e., Hyperplastic Arteriosclerosis